Which is NOT a component of Wermer's -
1. Pituitary
2. Adrenal
3. Parathyroid
4. Pancreas

Correct answer: 2. Adrenal